43S preinitiation complex include all except:
1. IF3
2. IF1A
3. IF2
4. IF-4F

Correct answer: 4. IF-4F

Explanation: Ans. D. IF-4F(Ref: Harper 31/e page 399)43 S Preinitiation complex consist ofGTP-eIF2-tRNAi+ 40S subunit.This 43S Preinitiation complex is stabilised by eIF3 and eIF-1A.